Major End Product of fatty acid synthesis is:
1. Acetyl CoA
2. ATP
3. Citrate
4. Palmitate

Correct answer: 4. Palmitate

Explanation: Ref. Textbook of Biochemistry for Medical Students. Page. 198
 
Excess dietary glucose can be converted to fatty acids in the liver and subsequently sent to the adipose tissue for storage.
Adipose tissue synthesizes smaller quantities of fatty acids.
Insulin promotes many steps in the conversion of glucose to acetyl CoA in the liver:

Glucokinase (induced) 
PFK-2/PFK-1 (PFK-2 dephosphorylated) 

Pyruvate dehydrogenase (dephosphorylated)
Both of the major enzymes of fatty acid synthesis are also affected by insulin:

Acetyl CoA carboxylase (dephosphorylated, activated)
Fatty acid synthase (induced)

Final end product is Palmitate, after which fatty acid elongation happens. Look at the belwo diagram for steps